Most common immediate complication of vasectomy is
1. Nerve injury
2. Hematoma
3. Syncope
4. None of the above

Correct answer: 2. Hematoma